Pappu, 7 yrs old young boy, had a fracture of lateral condyle of the femur. He developed malunion as the fracture was not reduced anatomically. Malunion will produce -
1. Genuvulgum
2. Genu varum
3. Genu recurvatum
4. Dislocation of knee

Correct answer: 1. Genuvulgum